Disc edema is not seen in:
1. Retro bulbar neuritis
2. Papillitis
3. Papilledema
4. Optic nerve glioma

Correct answer: 1. Retro bulbar neuritis

Explanation: Retro bulbar neuritis REF: Neuro-ophthalmology: the practical guide, By Leonard A. Levin page 101 Optic Disc Edema: Possible diagnostic consideration of appearance of optic disc edema is to determine whether the disc edema is pathological or just the disc itself is congenitally elevated (Pseudopapilledema). A reliable indicator of Pseudopapilledema is the presence of anomalous vessels on the disc. Now if disc is truly swollen then its turn to decide, it is due to increased ICT (papilledema) or any other cause of disc edema. Unilateral Visual Increased Anomalous Broad category Examples or Bilateral function ICT vessels Generally bilateral Normal No Yes Pseudopapilledema Pseudopapilledema (aka-Optic Disc Drusen- congenital & asymptomatic) Bilateral Normal Yes No Papilledema Papilledema Either Normal No No Disc edema with preserved vision Diabetic papillopathy Arterial hypertension Papillophlebitis Either Abnormal No No Disc edema with abnormal vision Optic neuritis (Papillitis) Neuroretinitis Optic nerve tumors Optic nerve glioma Optic nerve sheath meningioma Anterior ischemic optic neuropathy